Orphan Annie eyed nuclei is the characteristic histologic appearance is seen in
1. Papillary carcinoma thyroid
2. Follicular carcinoma thyroid
3. Medullary carcinoma thyroid
4. Hashimoto's thyroiditis

Correct answer: 1. Papillary carcinoma thyroid